Importance of pyruvate to lactate formation in anaerobic glycolysis is production of:
1. FAD
2. NADH to NAD
3. ATP
4. NAD to NADH

Correct answer: 2. NADH to NAD

Explanation: Under anaerobic conditions, pyruvate produced in glycolysis is reduced to lactate by lactate dehydrogenase as NADH is oxidized to NAD+. NAD+ is required for again producing NADH and to carry on glycolysis So, the Purpose of the extra step of anaerobic glycolysis is not Lactate formation, But the purpose is the replenishment of NAD, for use by Glyceraldehyde-3-phosphate Dehydrogenase, for the continuation of glycolysis (see fig).